Specificity measures -
1. True negative
2. False positives
3. True positives
4. None of the above

Correct answer: 1. True negative

Explanation: specificity is defined as the ability of a test to identify correctly those who do not have the disease,that is true negatives.ref;parks gextbook,ed22 ,pg no 131